What is not true about congenital glaucoma of eye?
1. Photophobia is most common symptom
2. Haab's Striae maybe seen
3. Thin and blue sclera seen
4. Anterior chamber is shallow

Correct answer: 4. Anterior chamber is shallow

Explanation: Ans. is 'd' i.e., Anterior chamber is shallow o On examination following findings are therei) First sign is corneal edema with watering of eye with marked photophobia.ii) Haab striae (Discrete corneal opacities appear as lines with double contour due to rupture in Descemet's membrane).iii) Cornea is hazy with frosted glass appearance.iv) Corneal enlargementv) Thin & blue scleravi) Deep anterior chambervii) Lens is antero- posteriorly flat and may be subluxated backward, viii) Iridodonesis (tremulous iris) and atrophic patch on iris.ix) Large eye (Buphthalmos or hydrophthalmos)x) Variable cupping and atrophy of discxi) Raised IOP (neither acute nor marked)